Phagocytosis in nervous tissue is by:
1. Neuroglia
2. Fibroblasts
3. Axons
4. Microglia

Correct answer: 4. Microglia

Explanation: Microglia